The following drug is NOT useful during acute attack of bronchial asthma :
1. Salbutamol
2. Hydrocortisone
3. Cromolyn sodium
4. Theophylline

Correct answer: 3. Cromolyn sodium